Phlyctenular conjunctivitis seen due to
1. Post fungal infection
2. Allergic
3. Post protozoal
4. Post tuberculoid

Correct answer: 2. Allergic

Explanation: Phlyctenular conjunctivitis is seen due to Hypersensitivity reaction. Type 4 hypersensitivity reaction Due to endogenous allergens likeStaphylococcus aureus(most common) andMycobacterium tuberculosis Characterized by the following: Phlycten May eventually form ring ulcers Scrofulous ulcer: shallow marginal ulcer due to the breakdown of limbal phlycten Fascicular ulcer has a prominent parallel leash of blood vessels. It heals leaving a band-shaped opacity. Treatment: Topical steroids; atropine if the cornea is involved. Phlyctenular conjunctivitis